Arrange the following physiological events in the sequence that occurs on exposure to hypoxia: A. Reduced conductance of hypoxia-sensitive K+ channels B. Ca2+ influx C. Decreased K+ efflux D. Exocytosis
1. B-C-D-A
2. D-B-A-C
3. A-C-B-D
4. C-B-D-A

Correct answer: 3. A-C-B-D